The risk of neonatal chicken pox is the maximum, if maternal infection occurs -
1. During the first trimester
2. During the second trimester
3. Within five days of delivery
4. Within six weeks of delivery

Correct answer: 3. Within five days of delivery

Explanation: Ans. is 'c' i.e., Within 5 days of delivery o Risk of neonatal chicken pox is maximum if maternal infection occurs near delivery ( 5 days before delivery or 48 hours after).